Parasympathetic stimulation induces salivary acinar cells to release the protease:
1. Bradykinin
2. Kallikrein
3. Kininogen
4. Kinin

Correct answer: 2. Kallikrein

Explanation: Ans. B. KallikreinParasympathetic stimulation induces the release of kallikrein by the salivary acinar cells, which converts kininogen to form lysyl-bradykinin (a potent vasodilator). Bradykinin is a vasoactive peptide. Kininogen is the precursor for kinins. Kinins include bradykinin and lysyl-bradykinin. Aminopeptidase releases amino acids from the amino end of peptides and is found in the brush border membrane and cytoplasm of enterocytes